All of the following require pyridoxine as a co-factor except?
1. ALA synthase
2. Transamination
3. Glycogen phosphorylase
4. Transketolase

Correct answer: 4. Transketolase

Explanation: Pyridoxal phosphate (PLP) is a coenzyme for enzymes involved in the following raections: Transamination Decarboxylation Glycogen phosphorylase Cystathionine b-synthase and cystathioninase ALA synthase Kynureninase Thiamine is the coenzyme for transketolase reactions Reference: Harpers illustrated biochemistry 30th edition